Van Gogh Syndrome is seen in
1. Mania
2. Depression
3. Schizophrenia
4. OCD

Correct answer: 3. Schizophrenia

Explanation: C i.e. Schizophrenia